A 1 cm x 1 cm squamous cell carcinoma of anal canal is best treated initially by
1. Abdominoperineal resection
2. Localized resection followed by irradiation
3. Proximal colostomy followed by interstitial irradiation
4. Chemo-radiotherapy

Correct answer: 4. Chemo-radiotherapy

Explanation: Anal cancer: #Treatment is by chemoradiotherapy in the first instance # Associated with HPV # More prevalent in patients with HIV infection # May affect the anal verge or anal canal # Lymphatic spread is to the inguinal lymph nodes # Uncommon tumour, which is usually a squamous cell carcinoma # Major ablative surgery is required if the above fails Ref: Bailey & Love's Short Practice of Surgery,E25,Page-1269